Folie a deux is seen in
1. OCD
2. Paranoid
3. Hysteria
4. Neurasthenia

Correct answer: 2. Paranoid

Explanation: It is shared delusional disorder.